Phospholipids are ?
1. Simple lipids
2. Derived lipids
3. Complex lipids
4. None

Correct answer: 3. Complex lipids

Explanation: Ans. is 'c' i.e., Complex lipidsThe most commonly used classification of lipids is Bloor's classification which is based on the chemical composition. According to this classification lipids are classified as follows :?A) Simple lipids:- These are esters of fatty acids with glycerol or other higher alcohol. These include:?Neutral fats (Triacylglycerol or triglycerides) WaxesB) Compound or complex lipids:- These are fatty acids esterified with alcohol, but in addition they contain other group (prosthetic group). These include phospholipids, glycolipids (glycosphingolipids), lipoprotein.c) Derived lipids:- Derived lipids include compounds (products) obtained after the hydrolysis of simple or compound lipids which possess the characteristics of lipids, eg. fatty acid, steroids, cholesterol, Lipid soluble vitamins and hormones, prostaglandins, leukotrienes, terpens.